Zoonotic diseases are all except
1. Typhoid
2. Anthrax
3. Rabies
4. Q fever

Correct answer: 1. Typhoid

Explanation: Man is the only natural host for S.typhi and paratyphi. In nature, anthrax is primarily a disease of cattle and sheep. Rabies is caused by the bite of mad dogs Q fever is caused by C. burnetii, which is transmitted by an infected tick. Ref: Textbook of microbiology; Ananthanarayan and paniker's; 10th edition; Pg: 248